Most common complication after FRCP is:
1. Acute pancreatitis
2. Acute cholangitis
3. Acute cholecystitis
4. Duodenal perforation

Correct answer: 1. Acute pancreatitis

Explanation: Ans. (a) Acute pancreatitisRef: Sabiston 19/ep 1521ERCP induced Acute Pancreatitis:* MC complication following ERCP (5%)* Other complications:# Hemorrhage (May need surgery)# Cholangitis (If CBD clearance is not achieved after ERCP- May need alternate methods of Bile drainage)# Perforation (May be asymptomatic and noticed by presence of Retroperitoneal air- Conservative management is advised even in symptomatic cases)